Leucopenia in SLE is almost always
1. Lymphopenia
2. Neutropenia
3. Eosinopenia
4. Any of the above

Correct answer: 1. Lymphopenia

Explanation: Ans. a (Lymphopenia) (Ref. H-17th/2077; Table 313-3)LeukopeniasCell typeCell countCausesNeutropeniaAbsolute neutrophil count <150 cells/mm3Sepsis/postinfection, drugs (including chemotherapy), aplastic anemia, SLE, radiationLymphopeniaAbsolute lymphocyte count <1500 cells/mm3 (<3000 cells/mm3 in children)HIV, DIGeorge syndrome, SCID, SLE, corticosteroid, radiation, sepsis, postopEosinopenia Cushing syndrome, corticosteroidsFeatures of SLE (If 4 of these criteria, well documented, are present at any time in a patient's history, the diagnosis is likely to be SLE. Specificity is 95%; sensitivity is 75%).Malar rashFixed erythema, flat or raised, over the malar eminencesDiscoid rashErythematous circular raised patches with adherent keratotic scaling and follicular plugging; atrophic scarring may occurPhotosensitivityExposure to ultraviolet light causes rashOral ulcersIncludes oral and nasopharyngeal ulcersArthritisNonerosive arthritis of two or more peripheral joints, with tenderness, swelling, or effusionSerositisPleuritis or pericarditis documented by ECG or rub or evidence of effusionRenal disorderProteinuria >0.5 g/d or 3+, or cellular castsNeurologic disorderSeizures or psychosis without other causesHematologic disorderHemolytic anemia or leukopenia (<4000/L) or lymphopenia (<1500/L) or thrombocytopenia (<100,000/L) in the absence of offending drugsImmunologic disorderAnti-dsDNA, anti-Sm, and/or anti-phospholipidAntinuclear antibodiesAn abnormal titer of ANA by immunofluorescence or an equivalent assay at any point in time in the absence of drugs known to induce ANAs.